Heterophile antibody is found in -
1. Weil Felix test
2. Widal test
3. VDRL
4. All

Correct answer: 1. Weil Felix test

Explanation: Weil- Felix reaction for the diagnosis of typhus fever is a hetrophile agglutination test. Based in the sharing of common antigen between typhus rickettsiae and some strains of proteus bacilli. Hetrophile antigen is the same or closely related antigens occurring in different species, classes or kingdoms. Reference : Anathanarayan & paniker's 9th edition, pg no: 109,89